Gene for myotonic dystrophy is coded on chromosome number -
1. 19
2. 20
3. 21
4. 24

Correct answer: 1. 19